If a diabetic patient being treated with an oral hypoglycemicagent, evelopsdilutional hyponatermia, which one of the following could be responsible for this effect-
1. Chlorpropamide
2. Tolazamide
3. Glyburide
4. Glimepride

Correct answer: 1. Chlorpropamide